Water-shed area of inferior mesenteric artery and internal iliac artery lies at
1. Griffith's point
2. Sigmoid colon
3. Anorectal junction
4. Sudeck's point

Correct answer: 4. Sudeck's point

Explanation: Sudeck's point is an area prone to ischemia where anastomoses between distal branches of inferior mesenteric artery and internal iliac artery occurs which gives middle and inferior rectal artery which supplies pelvis and perineum. Griffiths' point is defined as the site of (a) communication of the ascending left colic artery with the marginal artery of Drummond, and (b) anastomotic bridging between the right and left terminal branches of the ascending left colic artery at the splenic flexure of the colon Watershed area is the term referring to regions of the body that receive dual blood supply from the most distal branches of two large arteries, such as the splenic flexure of the large intestine. During times of blockage of one of the arteries that supply the watershed area, such as in atherosclerosis, these regions are spared from ischemia by virtue of their dual supply.